All the following manifestations suggest the development of lymphoma is sjogren syndrome except:
1. High C4 Complement Levels
2. Leucopenia
3. Purpura
4. Cryoglobulinemia

Correct answer: 1. High C4 Complement Levels

Explanation: Low C4 Complement levels suggest the development of lymphoma.